Which among the following is a manifestation of LCHAD deficiency?
1. Fatty liver of pregnancy
2. Liver failure
3. HELLP syndrome
4. All of the above

Correct answer: 4. All of the above

Explanation: Long-chain 3-hydroxyacyl-CoA dehydrogenase (LCHAD) deficiency is an inherited metabolic disease caused by the impaired functionality of a particular enzyme (long-chain 3-hydroxyacyl-coenzyme A dehydrogenase, LCHAD). This enzyme deficiency makes it harder for the body to break down fatty acids. Signs and symptoms of LCHAD deficiency typically appear during infancy or early childhood and can include feeding difficulties, lethargy, hypoglycemia, hypotonia, liver problems, and abnormalities in the light-sensitive tissue at the retina. Later in childhood, people with this condition may experience muscle pain, breakdown of muscle tissue, and peripheral neuropathy. Individuals with LCHAD deficiency are also at risk for serious heart problems, breathing difficulties, coma, and sudden death. A woman who is heterozygous for LCHAD deficiency and whose fetus has the disorder can have unexpected and life-threatening acute fatty liver of pregnancy. HELLP Syndrome (hemolysis, elevated liver enzymes, and low platelets) may occur in pregnancies where a fetus is affected with LCHAD deficiency.